Tolerance occurs to all side effects of Morphine, EXCEPT
1. Sedation
2. Constipation
3. Pain relieving
4. Euphoric effect

Correct answer: 2. Constipation

Explanation: Ans. is 'b' i.e., Constipation High degree of tolerance develops to morphine and related opioids if the drug is used repeatedly.Tolerance develops to all the actions except constipating and miotic action.